Beta blockers are not indicated in
1. Acute CHF
2. Hypertension
3. Chronic CHF
4. Arrhythmia

Correct answer: 1. Acute CHF

Explanation: Ref: HL Sharma 3rd ed pg no: 193 Beta blockers are not used in CCF except metoprolol and carvedilol due to their antioxidant properties they are used only in chronic CHF not in acute in acute CCF or CHF, diuretics , digoxin are used